In the union Government, the council of Ministers is collectively responsible to -
1. Prime minister
2. Lok sabha
3. Both Lok Sabha and Raiya Sabha
4. Union Cabinet

Correct answer: 2. Lok sabha

Explanation: The Central Council of Health was set up by a presidential order on 9 august 1952 under article 263 of the constitution of India for promoting coordinated and concreted action between the centre and the state in the implementation of all the programs and measures pertaining to the health of the nation (refer pgno:879 park 23 rd edition)